Cyst without lining is
1. Radicular cyst
2. Dentigerous cyst
3. Naso palatine duct cyst
4. Hemorrhagic / Traumatic bone cyst

Correct answer: 4. Hemorrhagic / Traumatic bone cyst